GATHER Approach is useful for
1. Chlorination of water
2. Refuse disposal
3. Counselling
4. Data analysis

Correct answer: 3. Counselling

Explanation: G: Greet the clients (make them comfortable, give attention)
A: Ask/ ascertain needs/ problems or reasons for coming
T: Telling different methods/ options/ choices to solve the problem
H: Help client to make voluntary decisions
E: Explain fully the chosen decision/ action/ method
R: Return for follow-up visit